The auriculotemporal nerve supplies which gland:
1. Lacrimal gland
2. Parotid
3. Submandibular
4. Sublingual

Correct answer: 2. Parotid